Why do fetal cells continue to divide but terminally differentiated adult cells do not divide?
1. There are many cyclin inhibitors which prevent cell to enter into S phase in adult
2. Phosphatase absent in fetal cells
3. Proteinase is absent in fetus
4. Absence of CD kinase

Correct answer: 1. There are many cyclin inhibitors which prevent cell to enter into S phase in adult

Explanation: . There are many cyclin inhibitors which prevent cell to enter into S phase in adult